A person has received complete immunization against tetanus 10 years ago. Now he presents with a clean wound without any lacerations from an injury sustained 2.5 hours ago. He should now be given ?
1. Full course of tetanus toxoid
2. Single dose of tetanus toxoid
3. Human tet globulin
4. Human tet globulin and single dose of toxoid

Correct answer: 2. Single dose of tetanus toxoid

Explanation: . Ans. is 'b' i.e., Single dose of tetanus toxoid Prevention of tetanus after injury . All wounds must be thoroughly cleaned soon after injury - removal of foreign bodies, soil dust, necrotic tissue. This procedure will abolish anaerobic conditions which favour germination of tetanus spore. Further managment will depend on the immune status, type of wound, and duration of wound :